A 43 year-old executive presents to a physician with chronic symmetric polyarthritis involving the knees. The man gives a history of having developed an extensive rash after a deer-hunting trip several years earlier. He recalls that he felt 'sick' at that time and developed knee pain that prevented him from climbing stairs for several months, but then partially resolved. Which of the following organism is most likely etiologically related to the patient's arthritis?
1. Fungus
2. GN cocci
3. GP cocci
4. Spirochete

Correct answer: 4. Spirochete

Explanation: A ns. D. SpirocheteLyme's disease: Caused by Borrelia burgdorferi, a spirochete.a. Transmitted by bite of Ixodid ticksb. Natural reservoir: Deer, rodents & other animalsc. IP: 3-30 daysd. 3 stages, stage of local infection, stage of disseminated infection & stage of persistent infection in the form of oligoarthritis, encephalomyelitis, polyneuropathy, encephalopathy etc.